18 year old girl with primary amenorrhea having a karyotype of 45X0 presents with infantile uterus. What should be done next?
1. B/L gonadectomy
2. HRT to induce puberty
3. Clitoroplasty
4. Vaginoplasty

Correct answer: 2. HRT to induce puberty

Explanation: Primary amenorrhea with karyotype of 45 XO with an infantile uterus is suggestive of TURNER SYNDROME Management Screen for associated abnormalities: cardiac (30% have coarctation of aorta), renal (esp.horseshoe kidney), autoimmune abnormalities (thyroiditis), diabetes, hypertension and hearing loss Growth hormone therapy: accelerate growth velocity and improves final height Gonadal steroids: start with estrogen therapy and add progesterones to induce puberty